Disulfiram like reaction is seen with
1. Phenformin
2. Chlorpropamide
3. Glibenclamide
4. Exenatide

Correct answer: 2. Chlorpropamide

Explanation: Chlorpropamide is a sulphonyl urea that causes Disulfiram like reaction and also dilutional hyponatremia.